Coracoid process is
1. Pressure epiphysis
2. Traction epiphysis
3. Aberrant epiphysis
4. Atavistic epiphysis

Correct answer: 4. Atavistic epiphysis

Explanation: Coracoid process is directed forwards and slightly laterally. It is bent finger like. It is atavistic type of epiphysis. B D Chaurasia 7th edition Page no : 9